Most common site for colorectal cancer is
1. Rectum
2. Anal canal
3. Spleenic flexure
4. Appendix

Correct answer: 1. Rectum

Explanation: Ans is 'a' i.e., Rectum * Following image demonstrates the distribution of colorectal adenocarcinoma:* Thus the most common site is Rectum. (rectum> sigmoid colon> caecum).